Negative symptoms of schizophrenia is
1. Disorganised thought
2. Thought block
3. Delusions
4. Avolition

Correct answer: 4. Avolition

Explanation: (D) Avolition> Negative symptoms are so-named because they are considered to be the loss or absence of normal traits or abilities, and include features such as flat or blunted affect and emotion, poverty of speech (alogia), inability to experience pleasure (anhedonia), and lack of motivation (avolition).